Which of the following fuel gases used for soldering, has the highest heat content
1. Hydrogen
2. Natural gas
3. Acetylene
4. Propane

Correct answer: 4. Propane